Rotameters
1. Depend on laminar low for their accuracy
2. Will only function when upright
3. Are constant pressure drop-constant orifice devices
4. Are not accurate below 1L/min

Correct answer: 2. Will only function when upright

Explanation: Rotameters are constant pressure drop-variable orifice devices. They are accurate at values as low as 200mL/min both laminar and turbulent flow determine their accuracy .